Percentage of bleaching powder used to disinfect feces -
1. 2%
2. 5%
3. 10%
4. 15%

Correct answer: 2. 5%

Explanation: Ans. is 'b' i.e., 5% Agents suitable for disinfection of faeces and urineDisinfectantAmount per litrePercent1. Bleaching powder2. Crude phenol3. Cresol4. Formalin50g 100 ml 50 ml 100 ml510510